Most common site of myocardial infraction is:
1. Anterior wall of left ventricle
2. Posterior wall of left ventricle
3. Posterior wall of right ventricle
4. Inferior wall of left ventricle

Correct answer: 1. Anterior wall of left ventricle

Explanation: Answer is A (Anterior wall of left ventricle) The most common site of myocardial infarction is the anterior wall of the left ventricle. The frequency of critical narrowing of arterial trunks and corresponding sites of myocordial lesions are as follows : Left anterior discending (LAD) 40 to 50% (Most common) Anterior wall of L.V. near apex (br. of LCA) Anterior portion of ventricular septum Right coronary artery (RCA) 30 to 40% Inferior/Posterior wall of L.V Post. portion of ventricular septum Inferior/posterior right ventricular free wall in some cases Left circumflex (br. of LCA) 15 to 20% Lateral wall of left ventricle except the apex.